The largest presenting diameter in cephalic presentation is :
1. Biparietal diameter
2. Suboccipito bregmatic
3. Occipito frontal
4. None of the above

Correct answer: 4. None of the above

Explanation: None of the above